The patho-physiological phenomenon that occurs during atheromatous plaque formation and is used for screening of 'asymptomatic coronary plaques' on CT scan is:
1. Increased outer diameter of coronary artery
2. Decreased inner diameter of coronary artery
3. Calcium deposition in the atheromatous plaque
4. Lipoid degeneration in the plaque.

Correct answer: 3. Calcium deposition in the atheromatous plaque

Explanation: C i.e. Calcium deposition in the atheromatous plaque Screening of asymptomatic coronary plaques on. CT scan (EBCT & MDCT) uses calcium depositionQ as a surrogate marker for detecting the presence & amout of atherosclerosis. CT attenuation within non calcified fibrous pique (91-116) is greater than within noncalcified lipid-rich plaques (47-71 HU). However, large variability currently prevents accurate classification of non calcified plaques by CT. Agatston Coronary Artery Calcification Scoring Coronary calcium is used as a surrogate marker to detect the presence and quantify the amount of atherosclerosis. Both electron beam (EB) CT and MD-CT permit accurate detection and quantification of coronary artery calcium. With the exception of renal failure patients, calcification occurs almost exclusively in the context of atherosclerosis. Agatston developed a scoring system, which takes into account the area (in pixels) and the CT density of calcified lesion (defining calcification as densities >130 Hounsfield units) for quantifying coronary artery calcification in patients evaluated with EB-CT scans using 3mm slice thickness. Each lesion in each slice is scored based on maximum density with a particular scale i.e. 1 = 130 to 199 HU; 2 = 200-299 HU; 3 = 300-399HU; 4 = 400HU or greater. Then a total score is obtained by summing the scores from all slices, broadly indicating grade of coronary artery disease (& risk of cardiovascular events +- . 0 = No; 1 to 10 = Minimal; 11 to 100 = Mild; 101 to 400 = Moderate; >400 = Severe. Currently, MDCT calcium scoring is widely used to calculate coronary clacium load, using 2.5 to 3 mm norienhanced axial CT images obtained with a prospective ECG gated acquisition. Modified Agatston score equivalent, takes into account the area of each calcified lesion and the maximum CT value within the lesion. The volumetric and absolute mass quantfication scoring algorithms are also available, showing increased accuracy, consistency and reproducibility (however, not been validated in clinical setting). It is important to understand that the amount of coronary calcium correlates moderately to overall atherosclerotic plaque burden. On the other hand, not every atherosclerotic coronary plaque is calcified and calcification is a sign of neither stability nor instability of an specific plaque. The absence of coronary calcium rules out the presence of coronary artery stenoses with high predictive value. However, even pronounced coronary calcification is not necessarily a/whemodynamically relevant luminal narrowing. So even the detection of large amounts of calcium does not indicate the presence of significant stenoses & it should not prompt invasive coronary angiography in otherwise asymptomatic individuals.